Inhibition of 5-lipoxygenase is useful in
1. Cardiac failure
2. Bronchial asthma
3. Hepatic failure
4. Arthritis

Correct answer: 2. Bronchial asthma

Explanation: Refer KDT 6 /e p223 Leukotriene are potent bronchoconstricting agents, These agents play a major role in the pathogenesis of bronchial asthma The drugs acting by inhibiting their synthesis are useful in the prophylaxis of bronchial asthma